Buffered charcoal yeast agar is the selective medium for:
1. Listeria monocytogenes
2. Legionella pneumophila
3. Pseudomonas aeroginosa
4. T. pallidum

Correct answer: 2. Legionella pneumophila

Explanation: Ans. is. 'b' i. e., Legionella pneumophila